Staph, epidermis has become important due to
1. Biofilm formation
2. Virulence
3. Wide spectrum antibiotics
4. Novobiocin resistance

Correct answer: 1. Biofilm formation

Explanation: * S. epidermis is a pathogenic organism which affects interventions like catheter, canula.* It is an organism which can form biofilm.* It is novobiocin sensitive.